A 24-year-old woman appears at 8 weeks of pregnancy and reveals a history of pulmonary embolism 7 years ago during her first pregnancy She was treated with intravenous heparin followed by several months of oral warfarin (Coumadin) and has had no further evidence of thromboembolic disease for over 6 years. Which of the following statements about her current condition is true?
1. Having no evidence of disease for over 5 years means that the risk of thromboembolism is not greater than normal
2. Impedance plethysmography is not a useful study to evaluate for deep venous thrombosis in pregnancy
3. Doppler ultrasonography is not a useful technique to evaluate for deep venous thrombosis in pregnancy
4. The patient should be placed on low-dose heparin therapy throughout pregnancy and puerperium

Correct answer: 4. The patient should be placed on low-dose heparin therapy throughout pregnancy and puerperium

Explanation: Patients with a history of thromboembolic disease in pregnancy are at high risk of developing it in subsequent pregnancies. Impedance plethysmography and Doppler ultrasonography are useful techniques even in pregnancy and should be done as baseline studies. Patients should be treated prophylactically with low-dose heparin therapy through the postpartum period as this is the time of highest risk of this disease.